Which of the following gas exert second gas effect when co-administered with halothane?
1. Nitrous oxide
2. Chloroform
3. Ether
4. Helium

Correct answer: 1. Nitrous oxide

Explanation: Second gas effect, diffusion hypoxia are seen with inhalation agents used in high concentration like nitrous oxide.